The most common salivary gland malignant neoplasm in
bones
1. Plemorphic adenoma
2. Adenoid cystic carcinoma
3. Muceopidermoid carcinoma
4. Aderrolymphorna

Correct answer: 3. Muceopidermoid carcinoma